An adult patient with leg pain and gangrene of toe. His ankle to brachial arterial pressure ratio would be less than?
1. 1
2. 0.3
3. 0.5
4. 0.8

Correct answer: 2. 0.3

Explanation: 0.3 REF: Sabiston 18th ed chapter 66 ABI Symptoms >1 Normal 0.5-0.9 Intermittent claudication 0.3-0.5 Rest pain <0.3 Gangrene